Medial meniscus of knee joint is injured more often than the lateral meniscus because the medial meniscus is relatively -
1. More mobile
2. Less mobile
3. Thinner
4. Attached lightly to femur

Correct answer: 2. Less mobile

Explanation: *Medial meniscus is more frequently injured than lateral meniscus because: 1) The medial meniscus is securely attached around the entire periphery of the joint capsule, which makes it less mobile. 2) Where as the lateral meniscus is more mobile and has no weak point between a movable and relatively fixed point. 3) Popliteus muscle sends few fibers into the posterior margin of lateral meniscus. Thus muscle contraction withdraw & protects the lateral meniscus by drawing it posterilaterally during flexion of the knee and medial rotation of the tibia. Function of the Meniscus * Distributes stress across the joint surface by providing a lar * Deepens the stabilization * Acts as a short forces result' movement * Provide lubr synovial cavi er area of contact tibial plateau for greater of the knee * The lateral meniscus is loosely attached anteriorly and posteriorly to the joint capsule * Due to the great lateral meniscu injury * Lateral menisca than medial medial meniscus * The medial meniscus is firmly attached to anteriorly and posteriorly to the joint capsule * Medial meniscal tears are more common than lateral meniscal injuries -- Occur 2-5 times more often Ref: Campbell's operative orthopaedics 13th/e p.2143